Which of the following is not a component of Apexum Device
1. NiTi Hollow tube
2. Precarved NiTi coarse ablator
3. Precarved NiTi Smooth ablator
4. Precarved NiTi Fine ablators

Correct answer: 3. Precarved NiTi Smooth ablator